Which of the following is false regarding Cholestasis of pregnancy ?
1. Serum bilirubin >5 mg/dl
2. Alanine amino transferase (ALT) <250 IU/L
3. Pruritus preceeds abnormal lab values by weeks
4. Dyslipidemia

Correct answer: 1. Serum bilirubin >5 mg/dl

Explanation: Hyperbilirubinemia results from retention of conjugated pigment, but total plasma concentrations rarely exceeds 4 to 5 mg/dl. Serum transaminase levels are normal to moderately elevated but seldom exceed 250 U/L Disorder AST (SGOT) U/L Biliirubin (mg/dl) Cholestasis of pregnancy Upto 200 1-5 Acute fatty liver of pregnancy 200-800 4-10 Hepatitis 2000+ 5-20 Ref: Williams Obstetrics 25th edition Pgno: 1059